In Hirschsprung'S disease, staining used for diagnosis is?
1. Fontana stain
2. Trinchome stain
3. AChE
4. Auramine Rhodamine stain

Correct answer: 3. AChE

Explanation: Histochemical staining for acetylcholine esterase activity provides confirmation for identifying ganglion cells and nerve trunks. TEXTBOOK OF PATHOLOGY 6TH EDITION HARSH MOHAN PAGE NO:580